Commonest cause of pyogenic liver abscess:
1. Appendicitis
2. Biliary sepsis
3. Infective endocarditis
4. Renal abscess

Correct answer: 2. Biliary sepsis

Explanation: Biliary tract disease is the commonest cause of bacterial liver abscess They are: Choledocholithiasis, obstructing tumours, strictures, congenital anomalies of the biliary tree Other causes are: Diverticulitis inflammatory bowel disease Perforated hollow viscera appendicitis. endocarditis or pyelonephritis. Ref: Heneghan et al. BMC Research Notes 2011, 4:80.